Which of the following is not true of Curling' s ulcer -a) Seen in bum patientsb) Are solitary penetrating ulcerc) Are shallow multiple erosionsd) Has also been described in children after head injury or craniotomy
1. c
2. d
3. ab
4. bd

Correct answer: 4. bd